Which blood group is universal donor ?
1. A
2. B
3. 0
4. AB

Correct answer: 3. 0

Explanation: Answer- C. 0Blood group'O'- Universal donor